All are true about Achondroplasia except
1. Antosomal dominant
2. Acral osteolysis
3. Trident hand
4. Champaigne glass pelvis

Correct answer: 2. Acral osteolysis